All of the following are excreted in urine in Maple syrup urine disease, EXCEPT:
1. Leucine
2. Isoleucine
3. Valine
4. None of the above

Correct answer: 4. None of the above

Explanation: As the name implies, the odor of urine in maple syrup urine disease (branched-chain ketonuria) suggests maple syrup or burnt sugar. The biochemical defect involves the -keto acid decarboxylase complex. Plasma and urinary levels of leucine, isoleucine, valine, -keto acids, and -hydroxy acids (reduced -keto acids) are elevated. Ref: Harper 28th edition, chapter 29.